Extracellular fluid includes all except?
1. Interstitial fluid
2. Mesenchymal fluid
3. Blood plasma
4. Intracellular fluid

Correct answer: 4. Intracellular fluid